Ocular lesions of rubella include all of the following except
1. Congenital megalocornea
2. Congenital cataract
3. Congenital glaucoma
4. Optic atrophy

Correct answer: 1. Congenital megalocornea

Explanation: Ans. Congenital megalocornea